Magistrate inquest deals under
1. Sec 174 CrPC
2. Sec 175CrPC
3. Sec 176CrPC
4. Sec 177CrPC

Correct answer: 3. Sec 176CrPC

Explanation: Magistrate inquest done in cases of Death in prisons Death of a person in police custody or while under police interrogation Man missing in police custody Death due to police firing Death of a mentally ill prisoner in psychatric hospital Death of a woman within 7 years of marriage Exhumation Rape of a woman I police custody In any case, Magistrate can conduct an inquest in addition to police inquest (CrPC 176) Ref: FORENSIC MEDICINE AND TOXICOLOGY Dr PC IGNATIUS THIRD EDITION PAGE 7